Tattoing in entry wound of a firearm injury is due to?
1. Burning
2. Smoke
3. Gun powder
4. Wads

Correct answer: 3. Gun powder

Explanation: Ans. is 'c' i.e., Gun powder